All are seen in multiple myeloma EXCEPT:
1. Visual disturbance
2. Bleeding tendency
3. Proteinuria
4. Dystrophic calcification

Correct answer: 4. Dystrophic calcification

Explanation: Dystrophic calcification REF: Harrison's 17th ed p. 702 CLINICAL FEATURES OF MULTIPLE MYELOMA: Increase in number of osteoclasts due to proliferation of plasma cells * * * * * Lytic lesions Bone pains Pathological fractures Cord compression Hypercalcemia leading to metastatic calcification and osteoporosis Suppression of hematopoietic cells * Normochromic normocytic anemia Increase abnormal immunoglobulin * Precipitation in kidney causing kidney damage, hence jones proteinuria, leading to renal failure. * Amyloidosis may occur Ineffective defense against infections * Recurrent infections Interference with clotting factors , amyloid damage of endothelium * Bleeding tendency Hyperviscosity * Neurological manifestations * Vertigo , tinnitus * Headache * Visual disturbance